Most common deformity after malunited supracondylar humerus fracture is -
1. Flexion deformity
2. Extension deformity
3. Cubitus varus
4. Cubitus valgus

Correct answer: 3. Cubitus varus

Explanation: Ans. is 'c' i.e., Cubitus varus * Cubitus varus, also known as a "gunstock deformity", is the most common complication of supracondylar fracture humerus, due to malunion.* Has been explained in previous sessions